Children from school went to summer camp got suffering from sore throat, rhinorrhoea, bilateral congested conjunctiva; causative agent is
1. Rhinovirus
2. Enterovirus
3. Adenovirus
4. Coronavrus

Correct answer: 3. Adenovirus

Explanation: (C) Adenovirus # In children, ADENOVIRUSES cause a variety of clinical syndromes. The most common is an acute upper respiratory tract infection, with prominent rhinitis. On occasion, lower respiratory tract disease, including bronchiolitis and pneumonia, also develops. Adenoviruses, particularly types 3 and 7, cause pharyngoconjunctival fever, a characteristic acute febrile illness of children that occurs in outbreaks, most often in summer camps.> The syndrome is marked by bilateral conjunctivitis in which the bulbar and palpebral conjunctivae have a granular appearance. Low-grade fever is frequently present for the first 3-5 days, and rhinitis, sore throat, and cervical adenopathy develop. The illness generally lasts for 1-2 weeks and resolves spontaneously.